All of the following hormones have receptors on the plasma membrane of target tissues except
1. Thyrotropin
2. Glucagon
3. Estradiol
4. Insulin

Correct answer: 3. Estradiol

Explanation: b-Estradiol; 17b-estradiol; the most potent naturally occurring estrogen in mammals, formed by the ovary, placenta, testis, and possibly the adrenal cortex; therapeutic indications for estradiol are those typical of an estrogen.Ref: Ganong's review of medical physiology; 24th edition; Page no: 403